Platelet transfusion is indicated in all Except
1. Dilutional thrombocytopenia
2. ITP
3. Aplastic anemia
4. DIC

Correct answer: 2. ITP

Explanation: The treatment of ITP uses drugs that decrease reticuloendothelial uptake of the antibody-bound platelet, decrease antibody production, and/or increase platelet production. The diagnosis of ITP does not necessarily mean that treatment must be instituted. Patients with the platelet count >30,000/mL appear not to have increased mortality related to the thrombocytopenia.Prednisone at 1 mg/kg is the traditional treatment in patients without significant bleeding symptoms, severe thrombocytopenia (<5000/mL), or signs of impending bleeding (such as retinal hemorrhage or large oral mucosal hemorrhages).For patients with severe ITP and/or symptoms of bleeding, hospital admission, and combined-modality therapy is given using high-dose glucocorticoids with IVIgG or anti-Rh0(D) therapy and, as needed, additional immunosuppressive agents. Rituximab, an anti-CD20 (B cell) antibody, has shown efficacy in the treatment of refractory ITP, although long-lasting remission only occurs in approximately 30% of patientsReference: Harrison's Principles of Internal Medicine; 19th edition; Chapter 140; Disorders of Platelets and Vessel wall